A 72 yrs. old man, Dayaram is found on examination to have a prostatic nodule. Best investigation to evaluate him :
1. CT scan pelvis
2. IVP
3. Prostatic massage for examination of secretions
4. Transrectal U/S

Correct answer: 4. Transrectal U/S

Explanation: Ans. is 'd' ie Transrectal U/S "TRUS (Transrectal U/S) remains the most accurate method of staging the local disease (prostatic cancer)/' - Bailey & Love